Spaghetti and meatball appearance is seen in
1. Dermatophytes
2. Aspergillus
3. Pityriasis versicolor
4. Candida

Correct answer: 3. Pityriasis versicolor

Explanation: In pityriasis versicolor while doing  KOH mount shows a mixture of short , branched hyphae and spores described as spaghetti and meatballs appearance.